Right coronary artery supplies all, except?
1. Anterior 2/3 of ventricular septum
2. SA node
3. AV node
4. LBB

Correct answer: 1. Anterior 2/3 of ventricular septum

Explanation: Right coronary artery supplies (i) SA node (in 65%), (ii) whole conducting system (AV bundle, bundle of his, part of left bundle branch) except RBB and part of left branch of AV bundle, (iii) posterior part of ventricular septum, (iv) most of right ventricle except small part adjoining anterior interventricular groove and small part of left ventricle adjoining posterior interventricular groove. Left coronary artery supplies (i) most of the left atrium, (ii) most of the left ventricle including apex, (iii) small part of right ventricle odjoining anterior interventricular septum, (iv) anterior 2/3 of ventricular septum, (v) RBB, LBB (vi) SA node in 35% of cases.